Causes of Hiccups are
1. Gastric distention
2. Alcohol ingestion
3. Sudden temperature changes
4. All the above

Correct answer: 4. All the above

Explanation: Other causes: Excitement, stress.